Pseudotrichiasis is seen in:
1. Entropion
2. Ectropion
3. Distichiasis
4. Healed membranous conjunctivitis

Correct answer: 1. Entropion

Explanation: Ans. Entropion